Oogonia reach their maximum number at which of the following stages of human development?
1. Five months of fetal life
2. Puberty (12 to 14 years of age)
3. Adolescence (16 to 20 years of age)
4. Early adulthood (21 to 26 years of age)

Correct answer: 1. Five months of fetal life

Explanation: Five months of fetal The maximum number of oogonia occurs at about the fifth month of development. Primordial germ cells arrive in the embryonic gonad of a genetic female during the 7th to 12th week where they differentiate into oogonia. * After undergoing a number of mitotic divisions, those fetal cells form clusters in the cortical part of the ovary. Some of those oogonia differentiate into the larger primary oocytes (not to be confused with primary follicles). * The primary oocytes begin meiosis. At the same time, the number of oogonia continues to increase to about 6000,000 by the fifth month. * At this time, most of the surviving oogonia and some of the oocytes become atretic. * However, the surviving primary oocytes (400,000 to 1,000,000) become surrounded by epithelial cells and form the primordial follicles by the seventh month.